Function of lumbricals area) Flexion at MCP jointb) Extension at IP jointsc) Adduction of the fingersd) Abduction of the fingers
1. ac
2. bc
3. bd
4. ab

Correct answer: 4. ab

Explanation: Lumbricals :

Flexion - Metacarpophalangeal joints.
Extension - Interphalangeal joints.